Crab is the intermediate host for?
1. Clonorchis sinensis
2. Paragonimus westermani
3. Fasciola hepatia
4. Schistosoma hematobium

Correct answer: 2. Paragonimus westermani

Explanation: Ans. is 'b' i.e., Paragonimus westermani Crabs and crayfish are second intermediate hosts for Paragonimus westermani.